In a child, non - functioning kidney is best diagnosed by-
1. Ultrasonography
2. IVU
3. DTPA renogram
4. Creatinine clearance

Correct answer: 3. DTPA renogram

Explanation: Ans. is 'c' i.e., DTPA renogram o The most convenient method of estimation of renal function is by isotope renography. Kumar/85] o Two types of isotope renography is there ? 1) Renogram, DTPA scan or MAG3 DTPA and MAG3 are rapidly excreted by the kidney and are therefore used as radiopharmaceutical agents for dynamic scan. This scan is preferred for the information ? i) About the blood flow of kidney ii) How well each kidney is functioning iii) It there is any obstruction to urine output 2) DMSA scan DMSA is concentrated in the renal parenchyma for a time and is therefore used as static scan. This scan is preferred to lood at structure of kidney, i.e. size, shape and position.